Rhinolalia clausa is associated with all of the following except -
1. Allergic rhinits
2. Palatal paralysis
3. Adenoids
4. Nasal polyps

Correct answer: 2. Palatal paralysis